Normal eye power is –
1. +6D
2. +43D
3. +60D
4. +17D

Correct answer: 3. +60D